Which of the following drugs is used for termination as well as prophylaxis of paroxysmal supraventricular tachycardia ?
1. Digoxin
2. Verapamil
3. Propranolol
4. Quinidine

Correct answer: 2. Verapamil